One of the early symptoms of orbital involvement by basal cell carcinoma of the lid is:
1. Diplopia
2. Defective vision
3. Proptosis
4. Severe pain

Correct answer: 1. Diplopia

Explanation: Ans. Diplopia